Appetite is increased by:
1. Leptin
2. Peptide YY
3. Ghrelin
4. Cholecystokinin

Correct answer: 3. Ghrelin

Explanation: Decrease Feeding (Anorexigenic) Increase Feeding (Orexigenic) a-Melanocyte-stimulating hormone Neuropeptide Y Leptin produced by adipocytes (leptin resistance is associated with obesity) Agouti related protein Serotonin Melanin concentrating hormone Norepinephrine Orexins A and B Corticotropin-releasing hormone Endorphins Insulin Galanin Cholecystokinin Amino acids (glutamate and GABA) Glucagon like peptide Cortisol Cocaine- and amphetamine-regulated transcript Ghrelin (released mainly by the oxyntic cells of the stomach) Peptide YY Endocannabinoids